In limb what amount of pressure is applied to prevent venum migration in snake bite
1. <10 mm of Hg
2. 20-30 mm of Hg
3. 40-70 mm of Hg
4. >100 mm of Hg

Correct answer: 3. 40-70 mm of Hg

Explanation: Pressure immobilisation technique: A bandage is applied over the wound which is loose enough to fit one finger in. The pressure of bandage should be maintained in 50-70 mm Hg. This procedure (Sutherland wrap) is to occlude the lymphatic circulation without impeding the arterial or venous flow. Ref: FORENSIC MEDICINE AND TOXICOLOGY DR PC IGNATIUS THIRD EDITION PAGE 520